"Intestinal angina" is a symptom complex of the following -
1. Postprandial abdominal pain, weight loss, acute mesenteric vessel occlusion
2. Postprandial abdominal pain, weight loss, chronic mesenteric vessel occlusion
3. Preprandial abdominal pain, weight loss, chronic mesenteric vessel occlusion
4. Preprandial abdominal pain, weight gain acute mesenteric vessel occlusion

Correct answer: 2. Postprandial abdominal pain, weight loss, chronic mesenteric vessel occlusion

Explanation: Ischemia of the intestine results from an imbalance of oxygen supply to and oxygen consumption by the GI tract. A decrease in blood flow results from decreased size of mesenteric vessels. Atherosclerotic disease is the most common cause of abdominal angina Symptoms of chronic intestinal ischemia Signs and symptoms of chronic intestinal ischemia can include: Abdominal cramps or fullness, usually within 30 minutes after eating, and lasting one to three hours Abdominal pain that gets progressively worse over weeks or months Fear of eating because of subsequent pain Unintended weight loss, chronic mesenteric vessel occlusion Diarrhea Nausea Bloating Ref Davidson edition23rd pg818